DIC is seen most commonly seen in which ANIL type?
1. M2
2. M3
3. M4
4. M5

Correct answer: 2. M3

Explanation: Answer is option 2 M3 DIC is common, especially in M3, with prolonged prothrombin time, low levels of fibrinogen and fibrin degradation products (FDPs) present. myeloid luekemia.